Shortest diameter of pelvis is-
1. Bispinous
2. Antero-posterior
3. Oblique
4. Transverse

Correct answer: 1. Bispinous

Explanation: Ans. is 'a' i.e., Bispinous